A 10 year old child is always restless, inattentive to study and always wants to play outside. Parents are extremely distressed. What is the most probable diagnosis?
1. Autism
2. Specific learning disability
3. ADHD
4. Dyslexia

Correct answer: 3. ADHD

Explanation: Ans. is 'c' i.e., ADHD * This child has - i) Restlessness ii) Inattentiveness iii) Uncontrolled desire to play outside.* All are features of attention deficit hyperkinetic disorder.ADHD* Child with ADHD presents with hyperactivity, impulsiveness and inattentiveness, restlessness, decreased self control, distractability, desire to play outside, difficulty in concentration, difficulty in playing, difficulty in sitting, inability to wait for his turn while playing and frequently interferes others.Treatment options are:1) Non-pharmacological: Psychosocial and behavioral therapy.2) Pharmacological treatment: Psychostimulant drugs are most effective treatment. Methylphenidate is the drug of choice. Amphetamines and atomoxetine are alternatives.